True about explicit memory:
1. Consciously present
2. Form of working memory
3. Type of sensory memory
4. Stored in striatum

Correct answer: 1. Consciously present

Explanation: Ans: A (Consciously present) Ref: Synopsis of Psychiatry, Kaplan & Sadock, 10th editionExpanation:Memory are based on long-term potentiation (LTP) of cells, well developed in neurons.Human brain memory systems are classified in various ways1. Based on the time gap between storage and retrieval - immediate, recent, remote2. Based on the duration and capacity of storage- short term & long term Conversion of short (living) term memory into Ions: term occurs at Hippocampus.3. Long term memory in turn- declarative (explicit) & non-declarative (implicit) Declarative memory needs conscious effort for retrieval of information4. Declarative memory is of two types- Episodic & SemanticEpisodic memory denotes information about self and personal events tone's age). It is also known as ''autobiographical memory''. Stored in Entorhinal cortex & Thalamus (mammillary body ).Semantic memory denotes general information and knowledge (time- independent. like how many continents on the earth?). Stored in medial temporal lobes. May get affected alone as in herpes simplex infection (leaving episodic memory intact!)5. Non-declarative memory (procedural memory) is the type of memory used to store information related to skills (writing, driving) & stored in cerebellum. Priming is an important component and it is stored in Striatum.Sensory memory is an ultra-shortacting memory of nerve endings at sense organs. Working memory is a type of memory important for executive functioning (Prefrontal cortex is essential for it). Emotional memory is stored in Amygdala.The steps of memory process are:1. Reception2. Registration3. Retention4. Rehearsal5. Retrieval